Which of the following constituents of amalgam alloy decreases expansion:
1. Copper
2. Zinc
3. Silver
4. Tin

Correct answer: 4. Tin